Which is not a feature of organophosphorus poisoning:
1. Sweating
2. Miosis
3. Tachycardia
4. Resp. depression

Correct answer: 3. Tachycardia

Explanation: C i.e. Tachycardia